A small amount of atropine is added to diphenoxylate in order to :
1. Suppress associated vomiting of gastroenteritis
2. Augment the anti–motility action of diphenoxylate
3. Block side effects of diphenoxylate
4. Discourage overdose and abuse of diphenoxylate

Correct answer: 4. Discourage overdose and abuse of diphenoxylate